All the following muscles are supplied by Anterior division of Obturator Nerve except
1. Pectineus
2. Adductor Longus
3. Gracilis
4. Adductor Magnus

Correct answer: 4. Adductor Magnus

Explanation: The main nerve supply to muscles of the adductor compartment is the obturator nerve. The adductor longus and the gracilis are supplied by the anterior division of this nerve. The adductor brevis is supplied by the anterior division or by the posterior division. The adductor magnus has a double nerve supply. Its adductor part is supplied by the posterior division of the obturator nerve; while its hamstring part is supplied by the tibial part of the sciatic nerve. The pectineus muscle is of double origin so it also has a double innervation: its anterior fibers are supplied by the femoral nerve and its posterior fibers by the anterior division of the obturator nerve. Such muscles are called the hybrid or composite muscles.Reference: Chaurasia Volume II; 7th edition; Page no: 66